True about Ogilvie syndrome are all except
1. It is caused by mechanical obstruction of the colon
2. It involves entire \/ part of the large colon
3. It occurs after previous surgery
4. It occurs commonly after narcotic use

Correct answer: 1. It is caused by mechanical obstruction of the colon

Explanation: Ogilvie syndrome is the acute dilation of the colon in the absence of any mechanical obstruction in severely ill patients. Colonic pseudo-obstruction is characterized by massive dilatation of the cecum (diameter > 10 cm) and right colon on abdominal X-ray.